Which of the following is the common aetiological agent in paranasal sinus mycoses?
1. Aspergillus species
2. Histoplasma
3. Conidiobolus coronatus
4. Candida albicans

Correct answer: 1. Aspergillus species

Explanation: Fungi invading paranasal sinuses include Aspergillus sp., Rhizopus sp., Candida albicans, Fusarium and Altemaria sp. Aspergillus sp. is the most common.